Recurrent chalazion is predisposed to develop which of the following type of malignancy?
1. Squamous cell carcinoma
2. Basal cell carcinoma
3. Adenocarcinoma
4. Epidermoid Carcinoma

Correct answer: 3. Adenocarcinoma

Explanation: Recurrent chalazion can predispose to the development of adenocarcinoma. Chalazion is a sterile, focal, chronic inflammation of the eyelid that results from obstruction of a meibomian or Zeis gland. It is commonly associated with rosacea and posterior blepharitis. They point towards the conjunctival surface and if its large it may press on the globe and cause astigmatism. Histologic examination shows proliferation of the endothelium of the acinus and a granulomatous inflammatory response that includes Langerhans type giant cells. Treatment includes surgical excision. For small lesions intralesional steroid injection may be sufficient, and in difficult cases it can be used in combination with surgery. Ref: Vaughan & Asbury's General Ophthalmology, 18e chapter 4. Textbook of Ophthalmology By H. V. Nema, page 577.